In early congenital syphilis, which is not seen –
1. Keratitis
2. Vesicular rash
3. Chorio retinitis
4. Rhinitis

Correct answer: 1. Keratitis